Which phase of the cell cycle is most sensitive to radiotherapy:
1. G2M phase
2. S phase
3. M phase
4. G2 phase

Correct answer: 1. G2M phase

Explanation: Ans. (a) G2M* Dividing cells are most sensitive to radiotherapy. The phase that is most sensitive to radiation is G2M.Remember the Sensitivity in this Order G2M > G2 > M > G1 > early S > Late S